Stimulation of which receptor will release renin?
1. Alpha - 1
2. Alpha - 2
3. Beta -1
4. Beta -2

Correct answer: 3. Beta -1

Explanation: beta-1 receptors